A lady undergoes radical hysterectomy for stage lb ca cervix. It was found that cancer extends to lower part of body of uterus and upper part of cervix next step of management will be:
1. Chemotherapy
2. Radiotherapy
3. Chemoradiation
4. Follow-up

Correct answer: 4. Follow-up

Explanation: Radical hysterectomy:removal of uterus ,tubes,ovaries on both sides, upper half of vagina,parametrium,draining primary cervical lymph nodes,common iliac rarely.Done in stage IB &IIA.Concomittant platinum based chemotherapy and primary radiation. Majority of recurrence cases occur in first 2 years. Follow up protocols should be 3-4 months interval for first 2 years and thereafter annually. D.C.DUTTA'S TEXTBOOK OF GYNAECOLOGY,Pg no:354,6th edition